The "International Health Regulations" of WHO specifies measures to restrict the spread of yellow fever through stringent arterial and maritime traffic regulations. What should be the Aedes aegypti index to ensure freedom from yellow fever?
1. 1%
2. 2%
3. 3%
4. 5%

Correct answer: 1. 1%

Explanation: According to the International Health Regulations of WHO, the Aedes aegypti index should be kept below 1 in airports and seaports. The Aedes aegypti index is a house index which is the percentage of houses and their premises, in a limited well-defined area, showing actual breeding of Aedes aegypti larvae. Ref: Park's Textbook Of Preventive And Social Medicine, By K. Park, 19th Edition, Page 236, 237.